LT antagonists are used in asthma for ?
1. Along with beta agonists to reduce steroids
2. In place of beta blockers as sole therapy
3. Prophylactic therapy for mild to moderate asthma
4. Definitive therapy in acute attack of asthma

Correct answer: 3. Prophylactic therapy for mild to moderate asthma

Explanation: Ans. is 'c' i.e., Prophylactic therapy for mild to moderate asthma Monteleukast and zafirleucast are cystenyl LT1 (cys LT1) receptor antagonists. They are indicated for prophylactic therapy of mild to moderate asthma as alternatives to inhaled glucocorticoids.